Aspirin inhibits which of the following enzymes?
1. Lipoprotein lipase
2. Lipoxygenase
3. Cyclooxygenase
4. Phospholipase

Correct answer: 3. Cyclooxygenase

Explanation: ESSENTIALS OF MEDICAL PHARMACOLOGY;7TH EDITION; KD TRIPATHI; PAGE NO: 193 Aspirin binds to COX by covalent bonds and inhibits the enzyme strong and irreversibly inhibits both cox1 and cox2